Retrolental fibroplasia has association with?
1. Prolonged labour
2. Intrauterine infection
3. Meconium aspiration
4. Low birth weight

Correct answer: 4. Low birth weight

Explanation: Ans. is 'd' i.e., Low birth weight Retrolental Fibroplasia Retinopathy of prematurity (Previously called as retrolental fibroplasia) is a characterized by abnormal proliferation of small retinal blood vessels due to a variety of causes. The complication is related to high oxygen tension in the arterial blood rather than the concentration of oxygen in the inspired air. o The condition is limited to preterm babies with a birth weight of less than 1500 gm or gestational age of less than 32 weeks. "Retrolental fibroplasia (retinopathy of prematurity) is generally noted some weeks after birth in premature infants who have been given high concentration of oxygen, and is usually confined to those under 1.7 Kg in weight at birth."